Which of the following is the most common renal cystic disease in infants is?
1. Polycystic kidney
2. Simple renal cyst
3. Unilateral renal dysplasia
4. Calyceal cyst

Correct answer: 3. Unilateral renal dysplasia

Explanation: The multicystic dysplastic kidney is the commonest form of congenital cystic renal dysplasia and is due to complete ureteric obstruction in fetal life. The condition is usually unilateral; the bilateral disease is lethal.
Multicystic dysplastic kidney

The multicystic dysplastic kidney is a congenital condition in which the entire kidney is dysplastic with a preponderance of cysts.
The kidney is replaced by multiple cysts of varying sizes that do not communicate and no identifiable parenchyma is present.
Contralateral vesicouretral reflux is present in 15% cases.
Contralateral hydronephrosis is present in 5 - 10% cases.
It is the most common cause of an abdominal mass in a neonate. - Nelson